Centrocaecal scotoma is seen in -
1. Optic neuritis
2. Wolfram syndrome
3. Papilloedema
4. CRAO

Correct answer: 1. Optic neuritis

Explanation: Answer- A. Optic neuritisCentrocaecal scotoma is seen in -Optic nerve damage.Optic neuritis.Tobaco amblyopia.